All true about fospropofol except:-
1. It is water soluble product that is metabolized in vivo to Propofol
2. It has slower onset than Propofol
3. It has slower recovery than Propofol
4. It also causes pain on injection line Propofol

Correct answer: 4. It also causes pain on injection line Propofol

Explanation: Fospropofol is pro drug of propofol which is water soluble and does not cause pain on injection. Fospropofol has a slower onset and slower recovery than propofol. It is a water-soluble prodrug of propofol and is metabolized (hydrolysed) to propofol, phosphate, and formaldehyde. Fospropofol is advantageous since it is not associated with pain on injection. Due to its slower onset of sedation, it is associated with a lower incidence of hypotension, respiratory depression, apnea and loss of airway patency.